Which of the following is not true about Acute Retropharyngeal abscess?
1. Dysphonia is common symptom
2. Usually swelling is seen on posterolateral wall of pharynx
3. Torticollis is not uncommon
4. Caries of cervical spine is usually a common cause

Correct answer: 4. Caries of cervical spine is usually a common cause

Explanation: Caries of cervical spine is usually a common cause of chronic retropharyngeal abscess. Ref : ENT textbook by Dhingra 6th edition Pgno : 394-395